Epiglottis develops from which of the following structure
1. 2nd pharyngeal arch
2. 6th pharyngeal arch
3. 4th pharyngeal arch
4. 3rd pharyngeal arch

Correct answer: 3. 4th pharyngeal arch

Explanation: Ans. c. 4th pharyngeal arch